Which of the following is most radioresistant?
1. Cartilage
2. GIT epithelium
3. Gonadal tumours
4. Ewing's sarcoma

Correct answer: 1. Cartilage

Explanation: Ans. Cartilage